Intraductal calcification of pancreas is seen in all except:
1. Tropical pancreatitis
2. Alcoholic pancreatitis
3. Hypoparathyroidism
4. Kwashiorkor

Correct answer: 3. Hypoparathyroidism

Explanation: Ans. Hypoparathyroidism